A patient on warfarin sodium following myocardial infarction reports for an oral surgical procedure. Which one of the following Laboratory tests should be preferred to ascertain the fitness
1. Prothrornbin time
2. Tourniquet time
3. Clotting time
4. Bleeding time

Correct answer: 1. Prothrornbin time